Auditory hallucinations, features of affect, delusion of persecution occur in -
1. Depression
2. Hysteria
3. Schizophrenia
4. Anxiety neurosis

Correct answer: 3. Schizophrenia

Explanation: Auditory hallucination, disturbances of affect and delusion of persecution are seen in schizophrenia.